Which of the following is the diagnostic characteristic of peripheral giant cell granuloma?
1. Mass of granulation tissue
2. Multinuclear giant cells
3. Keliod like enlargement
4. Epithelium is atrophic in some areas

Correct answer: 2. Multinuclear giant cells